Allen's test is useful on evaluating:-
1. Thoracic outlet compression
2. Presence of cervical rib
3. Integrity of palmar arch
4. Digital blood flow

Correct answer: 3. Integrity of palmar arch

Explanation: Allen's test is useful for evaluating the integrity of palmer arch.